Basic principle of encirclement for clasp designing means encircling the tooth for
1. 90 degrees
2. 180 degrees
3. 270 degrees
4. 360 degrees

Correct answer: 2. 180 degrees

Explanation: Therefore the basic principle of clasp design, referred to as the principle of encirclement means, that more than 180 degrees in the greatest circumference of the tooth, passing from diverging axial surfaces to converging axial surfaces, must be engaged by the clasp assembly.